Least amount of protein is found in-
1. Fish
2. Egg
3. Meat
4. Milk

Correct answer: 4. Milk

Explanation: Ans. is 'd' i.e., Milko Proteins content per 100 gm :i) Egg 10 gmii) Fish - 15-25 gmiii) Meat - 20-30 gmiv) Milk - 3-4 gm